In contraction stress test, positive interpretation is:
1. Early deceleration
2. Early acceleration
3. Persistent late deceleration
4. Variable deceleration

Correct answer: 3. Persistent late deceleration

Explanation: C i.e. Persistent late decelerationIt is an invasive method to assess fetal well being during pregnancy, when there is alteration in FHR in response to uterine contraction. It suggests fetal hypoxia.